Adrenaline acts through
1. Single pass receptor
2. Four pass receptor
3. Seven pass receptor
4. Ligand gated channel

Correct answer: 3. Seven pass receptor

Explanation: Adrenaline, noradrenaline and dopamine acts via seven pass receptor or Serpentine receptor.